Not a radiological feature of scurvy is ___________
1. Pencil line cortex
2. White line of frenkel
3. Zone of rarefaction
4. Cupping of bone ends

Correct answer: 4. Cupping of bone ends

Explanation: In scurvy,X-rays of long bones show a ground glass appearance with thinning of cortex.The definitive finding is the white line of Frenkel,an irregular thickened line at the metaphyses representing calcified cartilage at the zone of calcification.The finding of a zone of rarefaction under the white line of metaphysis,as a linear break in the bone running proximal & parallel to the white line,is diagnostic in infantile scurvy.There may be spurs at the level of white line & white rings surrounding the epiphyseal centres of ossification. Reference:Essential pediatrics-Ghai,8th edition,page no:120,121.